A patient who underwent abdominal surgery, developed infection at wound site. Awound swab was sent for culture, which revealed MRSA. All of following antibiotics can be used for his treatment except -
1. Cefclor
2. Cotrimoxzate
3. Ciprofloxacin
4. Vancomycin

Correct answer: 1. Cefclor

Explanation: Ans. is 'a' i.e., Cefclor o Ciprofloxacin, Cotrimoxazole and vancomycin are used for MRSA infections.